The blood pressure regulatory system that is labeled as a buffer system is
1. Baroreceptor
2. Chemoreceptor
3. Kidney
4. CNS ischemic response

Correct answer: 1. Baroreceptor

Explanation: Baroreceptor system opposes either increases or decreases in arterial pressure, it is called a pressure buffer system, and the nerves from the baroreceptors are called buffer nerves.Ref: Guyton and Hall textbook of medical physiology 13th edition. Page: 221